Myositis ossificans is an example of
1. Hypertrophy
2. Hyperplasia
3. Metaplasia
4. Both hyperplasia & hypertrophy

Correct answer: 3. Metaplasia

Explanation: Answer- C. MetaplasiaMetaplasia is a reversible change in which one differentiated cell type is replaced by another differentiated cell typel. Epithelial metaplasia2. Connective tissue metaplasiaThis transformation occurs between the mesodermally derived tissues i.e., one type of connective tissue is replaced by another type ofconnective tissue.This is characterized by conversion of fibroblast - derived soft tissue into muscle, Cartilage or bone.Example - Bone formation in muscle i.e., myositis ossificans.